All are biomarkers of long standing alcohol intake, EXCEPT:
1. Carbohydrate deficient transferrin
2. GGT
3. 5' nucleotidase
4. Macrocytosis

Correct answer: 3. 5' nucleotidase

Explanation: GGT will be elevated in long standing alcoholism, but it lack sensitivity and specificity. Elevated MCV seen in chronic alcoholism. CDT is most widely studied but it lack sensitivity and specificity. 5' nucleotidase is an cholestatic marker. Ref : AASLD Practice Guidelines 2010